Which of the following is the most radio sensitive phase of the cell cycle?
1. G2M
2. G2
3. S
4. G1

Correct answer: 1. G2M

Explanation: Studies on synchronously dividing cells in culture have revealed greatest radio sensitivity for cells in G2 and M phase, and relative radio resistance for cells in late S phase, and intermediate radio sensitivity between these two extremes. Ref: Progress In Cell Cycle Research By Laurent Meijer, Armelle Jezequel,Lernard Ducommun, Volume 4, Page 202; Basic Radiation Oncology By Beyzadeoglu, Murat Beyzadeoglu, Gokhan Ozyigit, Cuneyt Ebruli, Pages 75-77